Treatment for peritonsillar abscess is -
1. Tonsillectomy
2. Incision and drainage
3. Antibiotics alone
4. I & D + antibiotics

Correct answer: 4. I & D + antibiotics